Typhoral vaccine is recommended after -
1. 4 years
2. 6 years
3. At birth
4. After puberty

Correct answer: 2. 6 years